Which cardinal movements occur during labour :
1. Flexion
2. Extension
3. Internal rotation
4. all of the above

Correct answer: 4. all of the above

Explanation: There are 7 cardinal movements of head in normal labour: 1.Engagement 2.Descent 3.Flexion 4.Internal rotation 5.Extension 6.Restitution 7.External rotation. Refer page no 102 of Text book of obstetitics,sheila balakrishnan,2nd edition.